Selenium is essential for the:
1. Glutathione peroxidase
2. Glutathione reductase
3. Glutathione synthetase
4. Glutathione hydroxylase

Correct answer: 1. Glutathione peroxidase

Explanation: Ans. A. Glutathione peroxidasea. Glutathione peroxidase is a selenium containing enzyme which acts in synergism with vitamin E to protect against hydroperoxide free radical damage.b. First line of defense against hydroperoxide free radical damage is vitamin E (tocopherol) while the second line of defense is a selenium containing enzyme glutathione peroxidase.